Incidence of choriocarcinoma is seen more after:
1. Ectopic pregnancy
2. Spontaneous abortion
3. Normal delivery
4. Cesarean section

Correct answer: 2. Spontaneous abortion

Explanation: Ans. is 'b' i.e., Spontaneous abortion * Among all the cases of choriocarcinoma:# 50% develop following a hydatidiform mole#' 25% develop following an abortion# 20% develop following a full-term pregnancy and 5% develop following an ectopic pregnancy* As vesicular mole is not in the options, abortion is the answer.